Main function of B HCG:
1. Maintain corpus luteum
2. Stimulate decidua
3. Initiate implantation
4. initiate breast growth

Correct answer: 1. Maintain corpus luteum

Explanation: Ans: a (Maintain corpus luteum)Ref: William's Obstetrics, 23rd ed., Chapter 3Both alpha- and beta-chain synthesis of hCG are regulated separately. A single gene located on chromo- some 6 encodes the alpha-subunit for hCG, LH, FSH, and TSH. There are seven separate genes on chromosome 19 for the beta-hCG- beta-LH family.The best-known biological function of hCG is the so-called rescue and maintenance of function of the corpus luteum-- that is, continued progesterone production.Progesterone-producing life span of a corpus luteum of menstruation could be prolonged perhaps for 2 weeks by hCG administration.Maximum plasma hCG concentrations are attained well after hCG-stimulated corpus luteum secretion of progesterone has ceased. Specifically, progesterone luteal synthesis begins to decline at about 6 weeks despite continued and increasing hCG production.Before 5 weeks, hCG is expressed in both syncytiotrophoblast and cytotrophoblast. Later, when maternal serum levels peak, hCG is produced almost solely in syncytiotrophoblasts.